Maximum prostaglandin concentration is seen in ?
1. Seminal fluid
2. Amniotic fluid
3. Tear
4. Saliva

Correct answer: 1. Seminal fluid

Explanation: Ans. is 'a' i.e., Seminal fluid